A child presents with right ear hearing loss of three month duration. On examination, foul smelling purulent discharge is seen with perforation in pars flaccida. What is the MOST appropriate management?
1. Topical antibiotics and decongestants for 4 weeks
2. Tympano-mastoid exploration
3. Aural toileting
4. Type I tympanoplasty.

Correct answer: 2. Tympano-mastoid exploration

Explanation: The history and examination of the patient suggests atticoantral type of CSOM. It is also called unsafe or dangerous type; it involes posterosuperior part of the cleft and is associated with attic or marginal perforation. The discharge is usually scanty, but always fouls smelling due to bone destruction. The mainstay of treatment for this type is surgery. The primary aim is to remove the disease process by tympano-mastoid exploration and render the ear safe.